A granuloma is seen in all except-
1. TB
2. Yersinia
3. Mycoplasma
4. Leprosy

Correct answer: 3. Mycoplasma

Explanation: L-forms are seen in several species of bacteria, developing either spontaneously or in presence of penicillin or other agents that interfere with cell wall synthesis.
L-forms may be unstable in that the morphological abnormality' is maintained only in the presence of penicillin, or stable, when the aberrant form becomes the permanent feature of the strain and is retained in serial subcultures.
L-form resembles mycoplasma and it is possible that mycoplasma represents stable L-forms as yet unidentified parent bacteria.